Post spinal headache is due to –
1. Meningitis
2. Encephalitis
3. CSF leak
4. Increased ICT

Correct answer: 3. CSF leak

Explanation: Spinal headache (Post dural puncture headache) is due to CSF leak.